Cutis marmorata occurs due to exposure to
1. Cold temperature
2. Dust
3. Hot temperature
4. Humidity

Correct answer: 1. Cold temperature

Explanation: (A) Cold temperature[?]CUTIS MARMORATA:It is a transient cyanotic mottling of the skin which occurs as a physiological response to cold exposure and disappears with warming.It is usually encountered in healthy infants and resolves during the first year of life.Involvement of the trunk as well as the limbs is common.Physiological livedo reticularis rarely occurs in adults.Transient mottling when infant is exposed to decreased temperature.Acrocyanosis:Cyanosis of hands & feet.A common response to cold.An underlying cardiac defect should be suspected if acrocyanosis is persistent or more intense in the feet than hands.Benign cutaneous vascular phenomena seen in neonates as an accentuated physiologic vasomotor response to cold.Reticulate, bluish mottling of skin on trunk and extremities.Usually disappear as the infants is rewarmed.It's persistence is seen in Downs syndrome, trisomy-18, hypothyrioidism.Resolves quickly with warming.Onset during first 2 to 4 weeks of life.Due to immaturity of the autonomic nervous system of newborns.If persists after the infant is warmed implies an obstruction to blood flow such as hyperviscosity or vasculitis.Persistence beyond neonatal period is a possible marker for trisomy 18, Down syndrome, hypothyroidismDDX from sepsis and hypovolemia.Cutis marmorata telangiectatica congenita (CMTC):It is an uncommon, congenital, vascular malformation, first described by Van Lohuizen, comprising a fixed reticulate erythema which may resemble physiological cutis marmorata.Aetiology of CMTC is unknown.Histopathology of the vascular abnormality reveals dilated capillaries, venous & capillary lakes, and dilated veins in the dermis and subcutis.Clinical features:The vascular abnormality is a reticulate erythema producing the marbling that is akin to the physiological marbling seen in neonates.This is fixed and does not disappear after warming (unlike physiological cutis marmorata).Limbs are more commonly affected than other sites, & a sharp demarcation line is common.Associated atrophy (more common) or hypertrophy of the underlying subcutaneous tissue.Other congenital anomalies:Common: Aplasia cutis, developmental delay & cleft palate.Less common: Macrocephaly, glaucoma, hypothyroidism, scoliosis & anogenital abnormalities.Treatment: Rarely require treatment as many children improve in the first 2 years of life.